All of the following are suggestive of positive DPL except:
1. >10 mL of gross blood is aspirated directly from peritoneal cavity
2. Effluent contains RBCs >1 lac/mm3
3. Effluent contains Amylase >174 IU/dL
4. WBC >100/mm3

Correct answer: 4. WBC >100/mm3

Explanation: DIAGNOSTIC PERITONEAL LAVAGE: - Performed for blunt trauma abdomen patients - DPL is performed through vertical infra-umbilical midline incision unless the patients has pelvic fracture or is pregnant Positive DPL - > 10 mL of gross blood is aspirated directly from peritoneal cavity - Returned effluent contains - RBCs > 1 lac/ mm3 - WBCs > 500 / mm3 - Demonstrable bacteria or bile - Amylase > 174 IU/ dL - Sensitivity of DPL for detecting significant intra-abdominal injury is 82-96% & specificity 87-99%